The inner wall of the tubule is highly calcified and termed as
1. Peritubular dentin
2. Intratubular dentin
3. Both
4. Mantle dentin

Correct answer: 3. Both

Explanation: Dentin is made up of dentinal tubules. The dentinal tubules contain the protoplasmic process of the odontoblasts called odontoblastic process. The inner wall of the tubule is highly calcified and is termed as peritubular or intratubular dentin. Between the tubules is the intertubular dentin and it is calcified to a lesser degree than peritubular dentin.